Which of the following statements is NOT true regarding sulfonamides?
1. Sulfasalazine is absorbed well from GIT
2. Crystalluria can occur with sulfonamide administration
3. Sulfonamide administration to newborn may cause kernicterus
4. Sulfonamides are of value in treatment of infections due to Nocardia species.

Correct answer: 1. Sulfasalazine is absorbed well from GIT